Renal osteodystrophy is due to:-
1. Increased synthesis of calcitriol in kidney
2. No synthesis of calcitriol in kidney
3. Decreased synthesis of calcitriol in kidney
4. Fluctuating production of calcitriol in kidney

Correct answer: 3. Decreased synthesis of calcitriol in kidney

Explanation: Renal rickets/ renal osteodystrophy - This is seen in patients with chronic renal failure. Renal rickets is mainly due to decreased synthesis of calcitriol in kidney. lt can be treated by administration of calcitriol.
Reference: Satyanarayana- Biochemistry, 3rd edition, pg-128